Physiological hyperplasia and hypertrophy are seen simultaneously in -
1. Breast at puberty
2. Skeletal muscle in athletes
3. Uterus in pregnancy
4. Thyroid gland during pregnancy

Correct answer: 3. Uterus in pregnancy

Explanation: Ans-C"The massive physiological growth of the uterus during pregnancy is a good example of a hormone-induced increase in the size of an organ that results from both hypertrophy and hyperplasia."The massive physiological growth of the uterus during pregnancy is a good example of a hormone-induced increase in the size of an organ that results from hypertrophy of muscle fibers.